Most common site of minor salivary gland tumor:
1. Cheek
2. Palate
3. Sub-lingual gland
4. Tongue

Correct answer: 2. Palate

Explanation: Most common site of minor salivary gland tumor is palate. Adenoid cystic carcinoma is a relatively uncommon tumor, which in approximately 50% of cases is found in the minor salivary glands (in particular the palatine glands). MC malignant tumor of minor salivary glands: Adenoid cystic carcinoma. MC site of origin is in minor salivary glands located in oral cavity (hard palate) followed by sinonasal tractQ.